What is the thickness of bonding agent when applied with brush to condition the dentin which minimises or prevents air incorporation?
1. 50 microns
2. 100 microns
3. 150 microns
4. 200 microns

Correct answer: 1. 50 microns